20-year-old male Lalu develops multiple ulcers over prepuce and glans which are painful along with suppurative lymphadenopathy, 2 weeks after having sexual intercourse with a sex worker, most probable diseases is -
1. Herpes simplex
2. Molluscum contagiousm
3. Syphilis
4. Chancroid

Correct answer: 4. Chancroid